Esotropia is commonly seen in which type of refractive error
1. Myopia
2. Hypermetropia
3. Astigmatism
4. Presbyopia

Correct answer: 2. Hypermetropia

Explanation: Hypermetropia: - * It is the refractive error in which the incident parallel rays of light are brought to a focus posterior to the light sensitive layer of the retina when the accommodation is at rest. * In young hypermetropic individuals where ample reserve of accommodation is present, the patient uses his accommodation to see near and distant objects. Along with accommodation, convergence occurs- ESOTROPIA. * Excess accommodation also leads to pseudomyopia and accommodative asthenopia. * In hypermetropia, pseudoexotropia is seen (Apparent divergent squint ) * In myopia, since patient will be having good near vision, convergence is not much used. So eye tends to diverge --> DIVERGENT SQUINT . * PSEUDOESOTROPIA/ APPARENT CONVERGENT SQUINT is seen in myopia. Ref:- Parson's Diseases of the eye 22nd edition; pg num:- 246